Which one of the following serum levels would help in distinguishing an acute liver disease from chronic liver disease -
1. minotransaminase
2. Alkaline phosphatase
3. Bilirubin
4. Albumin

Correct answer: 4. Albumin